In a 3yr old patient the cement used after pulpectomy is:
1. Ca(OH)2
2. ZOE
3. Ca (OH)2 + CMCP
4. Active transport

Correct answer: 2. ZOE